Dilantain (Phenytoin) is known to cause:
1. Folic acid deficiency
2. Biotin deficiency
3. Thiamine deficiency
4. Riboflavin deficiency

Correct answer: 1. Folic acid deficiency

Explanation: Folic acid deficiency